Diagnostic features of allergic broncho-pulmonary aspergillosis (ABPA) include all of the following, EXCEPT:
1. Changing pulmonary infiltrates
2. Peripheral eosinophilia
3. Serum precipitins against Aspergillous fumigatus
4. Occurrence in patients with old cavitary lesions

Correct answer: 4. Occurrence in patients with old cavitary lesions

Explanation: Diagnostic Features of Allergic Bronchopulmonary Aspergillosis (ABPA) Main diagnostic criteria Bronchial asthma Pulmonary infiltrates Peripheral eosinophilia (>1000/l) Immediate wheal-and-flare response to Aspergillus fumigatus Serum precipitins to A. fumigatus Elevated serum IgE Central bronchiectasis Other diagnostic features History of brownish plugs in sputum Culture of A. fumigatus from sputum Elevated IgE (and IgG) class antibodies specific for A. fumigatus Ref: Harrisons principles of internal medicine, 18th edition, chapter 255.